A 20 yr old girl presents with 9 month history of neck swelling with thyrotoxicosis symptoms. On investigation increased T4 and decreased TSH with palpable 2 cm nodule was found. Next investigation will be
1. USG
2. Thyroid scan
3. Radioactive iodine uptake
4. CT scan

Correct answer: 2. Thyroid scan

Explanation: In clinical cases of thyroid nodule, Thyroid profile (T3 T4 TSH) is done. If TSH is low, thyroid scan is done to see if nodule is hot or cold. If TSH is low or normal, ultrasound followed by FNAC is done Source :Sabiston 20 th edition Pg 890